Which of the following structure forms the medial border of Hesselbach's triangle?
1. Linea alba
2. Linea semilunaris
3. Inferior epigastric artery
4. Conjoint tendon

Correct answer: 2. Linea semilunaris

Explanation: Boundaries of Hasselbach's triangle:Medial border: Lateral margin the rectus sheath, also called linea semilunaris.Superolateral border: Inferior epigastric artery.Inferior border: Inguinal ligament, sometimes Referred to as Poupart's ligament.